keinbock Osteonecrosis, all true except
1. Tenderness over base of 3rd metacarpall is present
2. Pain is more on wrist flexion than wrist extension
3. Is the osteochondritis of lunate
4. common age group 20-40

Correct answer: 2. Pain is more on wrist flexion than wrist extension

Explanation: Kienbock disease: Age: 20-40 yrs osteochondritis of lunate dominant side finesterer's sign : tenderness at the base of 3rd metacarpal on making a fist. negative ulnar variance. pain on wrist dorsiflexion REF : MAHESWARI 9TH ED